The laser used in LASIK is
1. Argon diode laser
2. Nd:YAG Laser
3. Excimer laser
4. Double frequency Nd:YAG Laser

Correct answer: 3. Excimer laser

Explanation: Answer- C. Excimer laserKrypton red Excimer ( argon fluoride)- Photorefractive keratectomy (PRK), phototherapeutic keratectomy (PTK), LASIK, LASEK